Eyebrows don't grow beyond certain length as they have a short -
1. Anagen phase
2. Telogen phase
3. Catagen phase
4. Exogen phase

Correct answer: 1. Anagen phase

Explanation: Ans. is 'a' i.e., Anagen phase o Hair grows in cycles of various phases. Anagen is growth phase. Catagen is involuting or regression phase. Telogen is resting phase. Exogen is shedding phase.o Normally 90% of the follicles are in anagen phase, 10-14% are in Telogen and 1-2% are in catagen.o The cycles duration is variable for the different parts of the body. For eyebrows, the cycle is finished in 3-4 months while for scalp it takes 3-4 years to finish.o This is the reason why eyebrows have much shorter length limit as compared to scalp hair.